All of the following are used in atrial arrhythmia EXCEPT -
1. Digoxin
2. Verapamil
3. Quinidine
4. Lignocaine

Correct answer: 4. Lignocaine

Explanation: Ans. is 'd' i.e., Lignocaine o Lignocaine is used primarily for ventricular arrhythmias. Antiarrhythmics Class I A (Quinidine, Procainamide, Disopyramide, Moricizine Class 1 B (Lidocaine, mexiletine, Phenytoin) Class IC (Propofenon, flecanide, encanide Class II (Beta blockers) Class III (Amiodarone, bretylium, Ibutilide, dofetilide) Class IV (calcium channel blockers) Miscellaneous Digoxin Adenosine Both ventricular and suproventricular (atrial) Ventricular Both ventricular and suproventicular (atrial) Both ventricular and supraventricular (atrial) Both ventricular and supraventricular (atrial) Supraventricular (atrial) Supraventricular (atrial) Supraventricular (atrial)